SSPE is caused by -
1. Mumps
2. Measles
3. Rubella
4. Varicella

Correct answer: 2. Measles

Explanation: Ans. is 'b' i.e., Measles o Complications of measles arei) Respiratory ; Otitis media (most common complication), pneumonia (Giant cell or Hecht's pneumonia), bronchitis, laryngitis, croup.ii) CNS : These are most serious and include encephalitis, transverse myelitis and a rare complication SSPE (Subacute sclerosing panencephalitisj.iii) Gastrointestinal: Gastroentritis, hepatitis, appendicitis, diarrhea, ileocolitis, mesenteric adenitis.iv) Others : Myocarditis, glomerulonephritis, thrombocytopenia.